Cervical mucus has following properties except:
1. High oestrogen levels at midcycle make cervical mucus thick
2. Estrogen primed cervical mucus filters out non-sperm components of semen
3. Midcycle mucus creates a reservoir for sperm
4. Elevated oestrogen levels near ovulation increases sodium chloride concentration

Correct answer: 1. High oestrogen levels at midcycle make cervical mucus thick

Explanation: High oestrogen levels at midcycle make cervical mucus thin and stretchy responsible for ferning pattern.